Which of the following tendons passes below the sustenticulum Tali -
1. Tibialis Anterior
2. Tibialis Posterior
3. Flexor digitorum longus
4. Flexor hallucis longus

Correct answer: 4. Flexor hallucis longus

Explanation: Tendon of flexor hallucis longus passes below sustenticulum tali.